Buerger disease affects which layers of artery?
1. Tunica media
2. Tunica adventitia
3. Tunica intima
4. All of above

Correct answer: 4. All of above

Explanation: Ans. (d) All of aboveRef: Bailey & Love 26th ed. / 899-900* Acute-phase lesions have inflammation involving all coats of the vessel wall, especially of the veins, in association with occlusive thrombosis.* Intermediate phase is characterized by progressive organization of the occlusive thrombus in the arteries and veins.* Chronic phase or end-stage lesion is characterized by organization of the occlusive thrombus with extensive recanalization and prominent vascularization of the media.* In all three phases, the normal architecture of the vessel wall subjacent to the occlusive thrombus and including the internal elastic lamina remains essentially intact.